Which of the following findings can indicate a rabies infection?
1. Guarner bodies
2. Negri bodies
3. Cowdry A bodies
4. Cowdry B bodies

Correct answer: 2. Negri bodies

Explanation: Rabies is confirmed by the presence of intracytoplasmic inclusion body (negri body) especially in the neurons of the brain. Negri bodies can also be found in corneal imprints, biopsies of face and neck. Negri bodies are composed of fibrillar matrix and virus particles. Ref: Textbook of Microbiology, Ananthanarayan and Paniker, 7th Edition, Chapter 49, Page 449; Pathology and Pathogenesis of Human Viral Disease, John E. Craighead, Page 361; Zoonoses: Infectious Diseases Transmissible from Animals to Humans, H. Krauss, 3rd Edition, Chapter 1, Page 116; Alcamo's Fundamentals of Microbiology, Jeffrey C. Pommerville, 7th Edition, Chapter 12, Page 223